Kidney produces
1. Vasopressin
2. Erythropoietin
3. Aldosterone
4. Angiotensinogen

Correct answer: 2. Erythropoietin

Explanation: In adults, about 85% of the erythropoietin comes from the kidneys and 15% from the liver.In most mammals, the hormones secreted by the posterior pituitary gland are arginine vasopressin (AVP) and oxytocin. Aldosterone is synthesized by adrenal cortex.Circulating angiotensinogen is found in the a2-globulin fraction of the plasma (Figure 39-6). It contains about 13% carbohydrate and is made up of 453 amino acid residues. It is synthesized in the liver with a 32-amino-acid signal sequence that is removed in the endoplasmic reticulum.Ref: Ganong's Review of Medical Physiology, Twenty-Third Edition, page no: 277, 347, 670, 677